Birth and death registration should be done within how many days?
1. 21 and 21 respectively
2. 7 and 14 respectively
3. 7 and 21 respectively
4. 14 and 7 respectively

Correct answer: 1. 21 and 21 respectively